Drug which is not used in glaucoma:
1. Timolol
2. Physostigmine
3. Pilocarpine
4. Atropine

Correct answer: 4. Atropine

Explanation: Ans. D: Atropine Most categories of drugs that list glaucoma as a contraindication or adverse effect are concerned with inducing acute angleclosure glaucoma. These medications will incite an attack only in those individuals with occludable angles (i.e., very narrow anterior chamberangles). The classes of medications that have the potential to induce angle closure are topical anticholinergic or sympathomimetic dilating drops, tricyclic antidepressants, monoamine oxidase inhibitors, antihistamines, antiparkinsonian drugs, antipsychotic medications and antispasmolytic agents. Atropine precipitate angle closure glaucoma Sulfa containing medications may induce angle-closure glaucoma by a different angle-closure mechanism, involving anterior rotation of the ciliary body. Typically, the angle closure is bilateral and occurs within the first several doses of the sulfonamide-containing medication. Patients with narrow or wide open angles are potentially susceptible to this rare and idiosyncratic reaction.